Communication between middle ear and Eustachian tube is obliterated in which surgery?
1. Tympanoplasty
2. Schwartz operation
3. Modified radical mastoidectomy
4. Radical mastoidectomy

Correct answer: 4. Radical mastoidectomy

Explanation: In radical mastoidectomy, the opening of Eustachian tube is closed by curetting its mucosa and plugging the opening with tensor tympani muscle or cartilage.